Treatment of Endrin poisoning is with
1. Atropine
2. Oximes
3. Supportive measures
4. All of the above

Correct answer: 3. Supportive measures

Explanation: Of all the chlorinated insecticide compounds, endrin is the most toxic. It is chiefly used against pests of cotton, paddy, sugarcane and tobacco. It is a popular insecticide with action against a wide variety of plant pests and, therefore, also known as plant penicillin. Endrin, an organochlorine insecticide (chlorinated hydrocarbons), has no specific antidote. Treatment is with supportive measures. Ref : Krishnan vij Textbook of Forensic medicine and Toxicology 5th edtion ; pg no - 536